Short acting non deipolarizing blocker -
1. Rocurorium
2. Suxamethonium
3. Mivacurium
4. Pancuronium

Correct answer: 3. Mivacurium

Explanation: Ans. is 'c' i.e., Mivacurium SKELETAL MUSCLE RELAXANTSo Skeletal muscle relaxants are drugs that act peripherally at neuromuscular junction/muscle fibre itself or centrally in the cerebrospinal axis to reduce muscle tone.o The neuromuscular blocking agents are used primarily in conjuction with general anaesthetics to provide muscle relaxation for surgery', while centrally acting muscle relaxants are used mainly for painful muscle spasms and spastic neurological conditions.Muscle relaxantsPeripherally actingCentrally acting o Mephenesin congenersNeuromuscular blocking agentsDirectly acting agents# Chlorzoxazone o Dantrolene sodium#ChlormezanoneNondepolarizing (competitive) blockersDepolarizing blockers# Diazepama)Long acting - d. tubocurarine, Pancuronium,o SuccinyIcholineo GABA derivativesDoxacurium, Pipecuroniumo Decamethonium# Baclofenb) Intermediate - Vecuronium, Atracurium o Central a2 - agonistactingcisatracurium, Rocuronium, Rapacuronium# Tizanidinec) Short acting - MivacuriumCompetitive (nondepolarizing) blockers are of two types1. Benzytisoquinolone derivativeso This includes -d-TC, doxacurium, atracurium, cisatracurium, mivacurium, metocurine.o These drugs have tendency to release histamine and to block autonomic ganglion.2. Amminio steroid derivativeso This include pancuronium, rocuronium, vecuronium, pipecuronium, rapacuronium.These drugs do not block autonomic ganglia and have minimal histamine releasing property'.